A woman with a previous Lower segment cesarean section will require an elective repeat cesarean section in all of the following conditions, EXCEPT ?
1. Occipito-posterior position.
2. Transverse lie
3. Breech presentation
4. Mid pelvic contraction

Correct answer: 1. Occipito-posterior position.

Explanation: Occipito posterior can rotate on the pelvic floor to occipito anterior in 80% cases and deliver easily with a previous cesarean section, hence a trial of labour can be given. Rest 3 options are indications of repeat Cesarean section